Anti–craving agents for alcohol dependence are all except:
1. Lorazepam
2. Acamprosate
3. Topiramate
4. Naltrexone

Correct answer: 1. Lorazepam